Tissue thromboplastin activates:
1. Factor-VII
2. Factor-IV
3. Factor-VI
4. None of the above

Correct answer: 1. Factor-VII

Explanation: Factor VII